Thrombocytopenia in a newborn baby can be caused by –
1. Isoimmune thrombocytopenia
2. Autoimmune thrombocytopenia
3. SLE
4. All of these

Correct answer: 4. All of these

Explanation: Thrombocytopenia in neonate can be caused by

Isoimmune thrombocytopenia
Mothers with ITP (Autoimmune thrombocytopenia).
Mothers with antiphospholipid antibody (SLE).
Intrauterine infections with → Rubella, Syphilis, Toxoplasmosis, CMK HSV
Neonatal bacterial sepsis